A 85 year old woman with Nikolsky sign-ve, blisters on thigh & trunk, lesions come on & off. What is the cause :
1. Pemphigus vulgaris
2. Pemphigoid
3. Lichen planus
4. Dermatitis herpetiformis

Correct answer: 2. Pemphigoid

Explanation: B i.e. Pemphigoid